Shock is clinically best assessed by -
1. Urine output
2. CVP
3. BP
4. Hydration

Correct answer: 1. Urine output

Explanation: • Shock: Inadequate delivery of oxygen and nutrients due to poor tissue perfusion to maintain normal tissue and cellular function
• Mean arterial pressure <60 mm Hg in previously normotensive patients
• Systemic vascular resistance rises leading to decreased cutaneous blood flow and autoregulation is critical in sustaining cerebral and coronary blood flow.